Marker of bone formation are all except -
1. Osteocalcin
2. Alkaline phosphatase
3. Procollagen residue
4. Hydroxyproline

Correct answer: 4. Hydroxyproline

Explanation: Hydroxyproline is a marker of bone resorption ( not bone formation).